A 25 year old pregnant lady is investigated to have leukocytosis, platelet count < 50,000 and fragmented RBC's in peripheral smear. Which of the following is the least likely differential diagnosis?
1. DIC
2. TTP
3. HELLP
4. Evan's syndrome

Correct answer: 4. Evan's syndrome

Explanation: Among the options provided Evan's syndrome is least likely to present with fragmented RBC's. Ref: 1. Harrison's Principles of Internal Medicine, 16th Edition, Page 612.